All of the following are X-linked disorders except
1. Emery-Dreifuss dystrophy
2. Becker's dystrophy
3. Duchenne's dystrophy
4. Myotonic dystrophy

Correct answer: 4. Myotonic dystrophy

Explanation: . *myotonic dystrophy-autosomal dominant ;expanded triplet repeat chromosome 19q *duchenne dystrophy-x linked;deletion in dystrophin gene Xp21 *becker -Xlinked ;deletion in dystrophin gene Xp21 *emery dreifuss dystrophy X linked recessive ;mutations in emerin gene . Ref Harrison20th edition pg 2345